Maximum emesis causing anaesthetic –
1. N2O
2. Diethyl ether
3. Chloroform
4. Thiopental

Correct answer: 2. Diethyl ether

Explanation: Ether is one of the most emetogenic of all the inhalational agents → High incidence of post-operative nausea & vomiting.